Which of the following Iron is used for Parenteral Iron Therapy ?
1. Iron dextran
2. Ferrous sulphate
3. Ferrous fumarate
4. Ferrous gluconate

Correct answer: 1. Iron dextran

Explanation: Parenteral irons Oral irons Iron dextran Iron - sorbitol - citric acid Ferrous sucrose Ferric carboxy maltose Iron isomaltoside Ferrous sulphate Ferrous gluconate Ferrous fumarate Colloidal Ferric hydroxide Carbonyl Iron Iron requirement (mg) = 4.4 x body weight (kg) x Hb deficit (g/dl)